Earliest (first) L.A. used clinically
1. Xylocaine/Lidocaine
2. Morphine
3. Cocaine
4. Cannabis & Procaine

Correct answer: 3. Cocaine

Explanation: C i.e. Cocaine